Mammography uses
1. Bremsstrahiung X rays
2. Characteristic X rays
3. Electrons
4. Gamma rays

Correct answer: 2. Characteristic X rays

Explanation: Answer: b.There are two types of x-radiation produced when electrons hit the x-ray tube anode.Bremsstrahlung is the most common and is in the form of a broad continuous photon energy spectrum with a maximum energy determined by the selected KV value.Characteristic radiation is produced under certain conditions and is confined to just a few photon energies.The molybdenum filter attenuates and blocks much of the bremsstrahlung spectrum above the energy of 20 keV.This results in the spectrum that is most often used in mammography, produced with the "moly/moly" anode/filter combination.